The most common laser used in laryngeal surgery is
1. Argon laser
2. Nd YAG laser
3. CO2 laser
4. KTP laser

Correct answer: 3. CO2 laser

Explanation: The LASER is an acronym for Light Amplification by Stimulated Emission of RadiationDepending upon the lasing medium, various types of lasers with differing wavelength can be created. The lasing medium can be solid (ruby, Nd: YAG or potassium titanyl phosphate); gas (CO2 or Helium-Neon) or liquid (pumped inorganic dye in a glass tube).CO2 laser: Wavelength 10,400 nm, invisible, requires an aiming beam of a helium-neon laser, cannot pass through flexible optical fibers and requires articulated arm with a series of reflective mirrors to direct the beam to the target area.Clinically it has been used in laryngeal surgery to excise vocal nodules, polyps, cysts, granulomas or juvenile laryngeal papillomas.It cuts precisely and a spot size of 0.3 mm can be achieved; lesion is first delineated and then dissected with microlaryngeal instruments. Microflaps can be raised to treat Reinke's edema. It is also used for leukoplakia, T1 lesion of vocal cord or localized lesions of supraepiglottis and infraepiglottis. Transverse cordotomy and endoscopic partial or complete arytenoidectomy can also be done in bilateral abductor paralysis.CO2 does not penetrate into the deep tissue, hence there is decreased risk of scarring.Ref: Dhingra; 6th edition; Chapter 71; Page no: 357